Arrange the enzyme categories as per increasing order of their enzyme commission numbers: A. Isomerases B. Hydrolases C. Hydratase D. Transferases
1. A- C - D - B
2. D- B-C - A
3. C- B - D - A
4. B- D - A - C

Correct answer: 2. D- B-C - A

Explanation: Enzyme Commission Number Name of Enzyme EC No. 1 Oxidoreductase EC No. 2 Transferase EC No. 3 Hydrolase EC No. 4 Lyase EC No. 5 Isomerase EC No. 6 Ligase EC no. 7 Translocase